A neonate has recurrent attacks of abdominal pain, restless irritability and diaphoresis on feeding. Cardiac auscultation reveals a nonspecific murmur. He is believed to be at risk for M.I. Likely diagnosis here is:
1. ASD
2. VSD
3. TOF
4. Anomalous coronary artery

Correct answer: 4. Anomalous coronary artery

Explanation: Normally coronary artery arise from the aortic root, but in this condition it arise from the pulmonary artery. In this case oxygen supply to myocardium is compromised due to delivery of deoxygenated blood and low perfusion pressures. Soon after birth (Neonate) as the pulmonary arterial pressure falls, perfusion pressure to the left coronary artery becomes inadequate. Myocardial infarction and fibrosis may result. Ref: Kliegman, Behrman, Jenson, Stanton (2008), Chapter 432.2, "Anomalous Origin of the Coronary Arteries", In the book, "NELSON TEXTBOOK OF PEDIATRICS", Volume 2, 18th Edition, New Delhi, Pages 1930-31